For the diagnosis of Deep Vein Thrombosis, 2 tests are done together, namely Impedence Plethy smo graphy and leg scanning after injecting 125I fibri nogen. This process will lead to
1. Increasing the positive predictive value
2. Increasing the negative predictive value
3. Increasing the pretest odds
4. Increasing the specificity

Correct answer: 2. Increasing the negative predictive value

Explanation: In the given question, 2 tests - Impedence Plethysmography and leg scanning after injecting 125I fibrinogen are done together, for the diagnosis of Deep Vein Thrombosis.
Therefore these are two tests in done in parallel.